Breast feeding is maximum during sleep because?
1. Prolactin is increased during night
2. Mother and baby are at rest so increased milk production
3. No confusion in nipple as kid is next to mo
4. It is irrelevant to breast feed

Correct answer: 1. Prolactin is increased during night

Explanation: ANSWER: (A) Prolactin is increased during nightREF: OP Ghai 7th ed p. 122Breast feeding is important during night because the maximum concentration of prolactin is produced during night; hence it helps to increase quantity of breast milk production.